True regarding felty's syndrome is all, except -
1. Splenomegaly
2. Rheumatoid arthritis
3. Neutropenia
4. Nephropathy

Correct answer: 4. Nephropathy

Explanation: Felty's syndrome is an extra articular manifestation of rheumatoid arthritis.It is the association of splenomegaly & neutropenia with RA. Common features include splenomegaly, lymphadenopathy,weight loss,skin pigmentation ,recurrent infections ,nodules,vasculitis,leg ulcers.Reference:Davidson's principles & practice of medicine 22nd edition pg no 1100